Anesthesia of choice in status asthmaticus is?
1. Thiopentone
2. Ketamine
3. Ether
4. N2O

Correct answer: 2. Ketamine

Explanation: Ans. is 'b' i.e., Ketamine Anesthetics in status asthmaticus* Ketamine is the intravenous inducing anaesthetic of choice.* Halothane is the inhalational agent of choice.* Halothane or sevoflurane are the agent of choice in children.* Though thiopentone is used in simple Asthma, it is contraindicated in status asthmaticus.